Steatorrhea and megaloblastic anemia, occurring in a patient after bowel resection, is caused by a failure to absorb what? SELECT ONE.
1. Peptides
2. Bile salts
3. Meissner and Auerbach plexus deficiency
4. Vagus nerve excess

Correct answer: 2. Bile salts

Explanation: The jejunum is the first part of the alimentary tract and, therefore, is the primary site of absorption of nearly all nutrients. It is unable to absorb vitamin B12 and bile salts, which are absorbed exclusively in the ileum. If the ileum is transposed between the duodenum and the jejunum, it undergoes compensatory hypertrophy and takes over the function of the jejunum and becomes the primary site of nutrient absorption.